If circumflex artery gives the posterior interventricular branch, this circulation is described as?
1. Right dominance
2. Left dominance
3. Codominance
4. Undetermined

Correct answer: 2. Left dominance

Explanation: In 8% of cases the left coronary artery (LCA) is dominant because it gives of the posterolateral artery (PLA) and then travels to the cross-section of the AV groove and the posterior interventricular (IV groove) where it gives rise to the left posterior descending coronary artery (PDA) that travels in the posterior IV groove and gives off several septal perforator branches (SP). The SP supply blood to the lower portion of the IV septum.In 85% of patients the right coronary artery (RCA) is said to be "dominant" because it supplies circulation to the inferior portion of the interventricular septum the right posterior descending coronary artery or PDA branch. In these cases the RCA travels to the cross-section of the AV groove and the posterior interventricular (IV groove). Here, it gives rise to the right posterior descending coronary artery (PDA) branch which travels in the posterior IV groove and gives off several septal perforator branches (SP). The SP supply blood to the lower portion of the IV septum. Generally, the dominant RCA also gives rise to the AV nodal branch which supplies blood to the AV node.